Radio opacity of composite resins is rendered by
1. Silica glass
2. organic matrix
3. barium glass
4. fluoride particles

Correct answer: 3. barium glass